Fear due to previous experience, events and objects is:
1. Innate fear
2. Objective fear
3. Subjective fear
4. Obstinate fear

Correct answer: 2. Objective fear

Explanation: Objective fear: Fears due to events, objects and specific conditioning. Previous experience (dental trauma) or generalization (medical experience).
Innate fear (without stimuli or previous experience): It is thus also dependent on the vulnerability of the individual.
Subjective fear: Fears transmitted to the individual are termed subjective fears. They may due to:
- Family experiences, peer (friends), information media (TV, papers, comics).
Textbook of Pedodontics Shobha Tandon Ed 2nd P; 133